Occlusal caries index (ICDAS 1 and Histological Validation), code 4 means?
1. Enamel demineralization Limited to outer 50% of enamel
2. Demineralization involving inner 50% of enamel upto DEJ
3. Demineralization involving outer 50% of dentine
4. Demineralization involving inner 50% of dentine

Correct answer: 4. Demineralization involving inner 50% of dentine